Endolymphatic decompression is done in -
1. Tinnitus
2. Acoustic neuroma
3. Meniere's disease
4. Endolymphatic fistula

Correct answer: 3. Meniere's disease

Explanation: Decompression of endolymphatic sac is done in Meniere’s disease